Positive ECG sign(s) of ischemia in Tread mill test is/ are-
1. Upsloping depression of the ST segment mV below baseline
2. Downsloping depression of the ST segment >0.1 mV below baseline
3. Junctional ST-segment
4. Tachycardia

Correct answer: 2. Downsloping depression of the ST segment >0.1 mV below baseline

Explanation: Answer- B. Downsloping depression of the ST segment >0.1 mV below baselineThc ischemia ST:-segment respone generally is defined as flat or downsloping depression of the ST segmant >O.1 mVbelow baseline (i.e., tha PR segnent) and lasting longer than O.08s.Upsloping or junctional ST-segment changes are not considered characteristic of ischemia and do not constitute a positive test.